The function of stria vascularis is:
1. To produce perilymph
2. To absorb perilymph
3. To maintain electric milieu of endolymph
4. To maintain electric milieu of perilymph

Correct answer: 3. To maintain electric milieu of endolymph

Explanation: Scala vestibuli and scala tympani are filled with perilymph, whereas scala media/membranous cochlea is filled with endolymph.